Aim of damage control laparotomy are:
1. Arrest hemorrhage
2. Prevent Coagulopathy
3. Control contamination
4. All

Correct answer: 4. All

Explanation: Ans is A(Arrest hemorrhage), B(Prevent Coagulopathy) & C(Control contamination)